A 18years old boy was playing football, when he suddenly twisted his knee on the ankle and he fell down. he got up after 10minutes and again starts playing but next day his knee was swollen and he could not move it. The most probable cause is:
1. Medial meniscus tear
2. Anterior cruciate ligament tear
3. Medical collateral ligament injury
4. Posterior cruciate ligament injury

Correct answer: 1. Medial meniscus tear

Explanation: This boy has:- 1) Hostory is tweeting injury to the knee 2)Swelling appearing next day *This is classical to the medial menisal Injury * In ACL injury Swellinf due appears immediately due to hermagrosis Causes of Meniscus Injuries * Can result from activities involving pivoting or rotational movements -- i.e. pivoting, sudden stops and turns, kneeling, deep squatting, heavy * Tears in the meni cus of the knee are commonly due to spos-rela ed injuries * Degenerative chart ges of the knee can contribute to a torn meniscus * Meniscal tears may be associated with anterior cruciate ligament tears -- The instability of the knee increases the likelihood of a meniscal tear over time Ref: Apleys 9th/e p.559